Eukaryotes are different in causing infection because?
1. They divide by binary fission
2. Highly structured cell with organized cell organelles
3. Don't have all organelles
4. Evolutionally ancient

Correct answer: 2. Highly structured cell with organized cell organelles

Explanation: Because eukaryotes are structurally complex and have complex antigenic properties. They are unlike prokaryotes does not have a well-established cellular organization Ref: Textbook of Microbiology; Ananthanarayan and Paniker; 9th edition.